A portion of the liver left of the attachment of the falciform ligament has been excised. The segments that have been resected are:
1. Segment la and 4
2. Segment 1 and 4b
3. Segment 1 and 3
4. Segment 2 and 3

Correct answer: 4. Segment 2 and 3

Explanation: Liver segments which lie to the left of the falciform ligament are segment 2 and 3. Ref: The M.D. Anderson surgical oncology handbook By Barry W. Feig, David H. Berger, George M. Fuhrman, Page321; Bailey 24th Edition, Page 1063.